True about Nephrogenic diabetes insipidus is?
1. Renal tubule unresponsive ness to ADH
2. There is central decrease in secretion of ADH
3. Serum Na is low
4. The urine osmolarity is increased after ADH administration

Correct answer: 1. Renal tubule unresponsive ness to ADH

Explanation: ANSWER: (A) Renal tubule unresponsiveness to ADHREF: Harrisons medicine 17th ed 2219In Nephrogenic diabetes insipidus the tubules are unresponsive to the ADH and it could be due to acquired, genetic, drugsParametersPsychogenicpolydipsiaDiabetesinsipidusNephrogenic DIOsmotic diuresisSerum NaN or decIncreaseIncreaseN or incPlasma osmN or decIncreaseIncreaseN or incUrine osmDecdecreasedecreaseIncreasePlasma ADHDecdecreaseIncreaseIncreaseUrine osm after ADHIncreaseincreasenilSlight increase